What is prolotherapy which is used for the treatment of TMJ discoloration:
1. Regeneration injection therapy.
2. Injection to paralyze the lateral pterygoid muscle.
3. Thickening of joint therapy.
4. All of the above.

Correct answer: 1. Regeneration injection therapy.

Explanation: Prolotherapy
Proliferation therapy
Regeneration injection therapy.
Principle:
Stimulation of joint tissue.
Organized | planned Microtrauma by Needle and By Chemicals .
So as to produce growth Function which regenerate/Rejuvenate the Joint.